a drug that compete for active binding is called
1. Competitive inhibitor
2. Non competitive inhibitor
3. Covalent inhibitor
4. Any of These

Correct answer: 1. Competitive inhibitor

Explanation: In competitive inhibition of enzyme catalysis, binding of an inhibitor prevents binding of the target molecule of the enzyme, also known as the substrate. This is accomplished by blocking the binding site of the substrate - the active site - by some means. Ref-KDT 7/e p39